How many layers are present in the greater omentum?
1. 1
2. 2
3. 3
4. 4

Correct answer: 4. 4

Explanation: Ans. is 'd' i.e., 4 Greater omentum:* It is a large 4 layered peritoneal fold hanging down like an apron from greater curvature.* Anterior two layers descend from greater curvature of stomach to a variable extent, and fold upon themselves to form posterior two layers, i .e. first layer becomes the fourth layer and second layer becomes third layer.* The part of the peritoneal cavity called lesser sac between 2nd and 3rd layers gets obliterated, except for about 2.5 cm below the greater curvature of stomach.* Greater omentum contains the right and left gastroepiploic vessels which anastomose with each other in the interval between the first two layers.* Greater omentum acts as storehouse of fat. Greater omentum is generally referred to as "policeman of abdomen"(UPSC 89) because it adheres to areas of inflammation, wrapping around the inflammed organs, localizing the infections and preventing serious diffuse peritonitis.* It develops from caudal part of dorsal mesogastrium.